True about thyroid storm -a) Bradycardiab) Hyperthermiac) Hypercalcemiad) Hypotensione) Cardiac arrhythmia
1. ab
2. bc
3. bce
4. ace

Correct answer: 3. bce